Snaw ball opacities are seen in -
1. Acute anterior uveitis
2. Posterior uveitis
3. Pars planitis
4. None

Correct answer: 3. Pars planitis

Explanation: Fundus examination in pars planitis reveals whitish exudates present near the ora serrata in the infefior quadrant. These typical exudates are referred as snow ball opacities. These may coalesce to from a grey white plque called snow banking. Ref: Khurana 7th/e p.167 & 4th/e p.161.